In doing gingival retraction, all of the following are used except
1. 8% racemic epinephrine
2. 8% alum
3. 8% zinc chloride
4. 40% zinc chloride

Correct answer: 4. 40% zinc chloride